Which of the following is false about parotid tumor
1. Facial nerve involvement indicates malignancy
2. Pleomorphic adenoma is most common
3. Superfical parotidectomy is the treatment
4. Malignant disease is most common variety

Correct answer: 4. Malignant disease is most common variety

Explanation: Benign tumors are most common parotid gland tumors.